A patient has small, oval multiple ulcers in the oral cavity with red erythematous margins. The diagnosis is -
1. Carcinoma
2. Aphthous ulcer
3. Tubercular ulcer
4. Syphilitic ulcer

Correct answer: 2. Aphthous ulcer

Explanation: Aphthous ulcers 

They are painful, recurrent, superficial ulcers, usually involving movable mucosa, i.e. inner surfaces of lips buccal mucosa, tongue, the floor of the mouth and soft palate while sparing mucosa of the hard palate and gingival.
It has 2 forms - minor & major
In the minor form, which is more common, ulcers are 2-10 mm in size and multiple with a central necrotic area and a red halo. They heal in about 2 weeks without leaving a scar.
In the major form, the ulcer is very big 2-4 cm in size, and heals with a scar, but is soon followed by another ulcer.

Other options 

Carcinomatous ulcer → Usually single, Painless initially (painful in advanced stages)
Tuberculosis → Ulcer is shallow, often multiple with slightly undermined margin. It is painful when seen on an. 2/3 of the tongue.
Syphilitic ulcer → Painless ulcer with indurations.